A patient presented with Aldrich-Mee's lines which are characteristic of which heavy metal poisoning?
1. Lead
2. Mercury
3. Arsenic
4. Copper

Correct answer: 3. Arsenic

Explanation: Aldrich-Mee's lines: Hyperkeratosis of the palms and soles with irregular thickening of the nails and development of bands of opacity in the fingernails. It is seen in prolonged contact of Arsenic. Ref: The essentials of forensic medicine and toxicology by Narayan Reddy, 27th edition, Page 475